Atherosclerotic occlusion of which artery would result in insufficient perfusion of urinary bladder
1. External iliac
2. Internal pudendal
3. Internal iliac
4. Lateral sacral

Correct answer: 3. Internal iliac

Explanation: Internal iliac artery divides into an anterior division and a posterior division Posterior division giving rise to superior gluteal iliolumbar, and lateral sacral arteries. Anterior division gives rise to Obturator artery Umbilical artery (Gives rise to the superior vesical artery) Inferior vesical artery Vaginal artery (female) Uterine artery (female) Middle rectal artery Internal pudendal artery Inferior gluteal artery image ref - semantischolar.org